Which one of the following is the description used for the term allodynia during pain management ?
1. Absence of pain perception
2. Complete lack of pain sensation
3. Unpleasant sensation with or without a stimulus
4. Perception of an ordinarily non-noxious stimulus as severe pain

Correct answer: 4. Perception of an ordinarily non-noxious stimulus as severe pain

Explanation: Allodynia refers to perception of an ordinarily non-noxious stimulus as pain.